Which of the following has strong association with spondyloarthropathies?
1. HLADR3
2. HLAB27
3. HLADR4W
4. HLAB8

Correct answer: 2. HLAB27

Explanation: Ans. b (HLA B). (Ref Harrrisqn 18th/ Table 315-1.)Significant HLA Class I and Class II Associations with Disease. MarkerSpondyloarthropathies including Ankylosing spondylitis, Reiter's syndrome, Acute anterior uveitis, Reactive arthritis (Yersinia, Salmonella, Shigella, Chlamydia), Psoriatic spondylitisB27Juvenile arthritis, pauciarticularDR8 DR5Rheumatoid arthritisDR4Sjogren's syndromeDR3Systemic lupus erythematosus-WhiteDR3Systemic lupus erythematosus-JapaneseDR2Gluten-sensitive enteropathy (celiac disease)DQ2Chronic active hepatitisDR3Dermatitis herpetiformisDR3Psoriasis vulgarisCw6Pemphigus vulgarisDR4>DQ1Bullous pemphigoid variantDQ7Type 1 diabetes mellitusDQ8 DR4 DR3 DR2Hyperthyroidism (Graves')B8 DR3Hyperthyroidism (Japanese)B35Adrenal insufficiencyDR3Myasthenia gravisB8 DR3Multiple sclerosisDR2Behcet's diseaseB51Congenital adrenal hyperplasiaB47NarcolepsyDR2Goodpasture's syndrome (anti-GBM)DR2Abacavir hypersensitivityB57COMMON FEATURES OF SPONDYLOARTHROPATHIES ARE# High prevalence of HLA B27# Sacroilitis (bilateral, symmetric), spondylitis, familial# Enthesitis, asymmetrical oligoarthritis# Anterior uveitis# Negative for Rheumatoid factor.